Hexokinase is
1. Ligase
2. Transferase
3. Oxidoreductase
4. Reductase

Correct answer: 2. Transferase

Explanation: A hexokinase is an enzyme that phosphorylates hexoses (six-carbon sugars), forming hexose phosphate. In most organisms, glucose is the most important substrate of hexokinases, and glucose-6-phosphate is the most important product. Hexokinase can transfer an inorganic phosphate group from ATP to a substrate.